Velvety appearance of stomach is seen in poisoning with:
1. Abrus precatorius
2. Barbiturates
3. Arsenic
4. lead

Correct answer: 3. Arsenic

Explanation: Ans: cRef: Parikh, 6th ed, p. 9.10 and 5th ed, p. 748